Which of the following is a natural contact poison -
1. Malathione
2. Paris green
3. Pyrethrum
4. Abate

Correct answer: 3. Pyrethrum

Explanation: Insecticides are used to kill insects.They are contact poisons,stomach poisons and fumigants. The contact poisons are both natural and synthetic The natural contact poisons are pyrethrum,rotenone,,derris,nicotine,mineral oils. Synthetic contact poisons are DDT,BHC,lindane,chlordane. Parks textbook of preventive and social medicine.K Park. Edition 23.Pg no: 783.